Which of the following is not true about Glioblastoma..
1. Also known as Butterfly tumor
2. Frontal lobe of the brain is common location
3. It belongs to WHO grade 3 Astrocytoma
4. Serpentine necrosis and glomeruloid bodies

Correct answer: 3. It belongs to WHO grade 3 Astrocytoma

Explanation: Glioblastoma belongs to grade 4 astrocytoma.It has worse prognosis.